A person was brought to emergency department and was diagnosed with Supra ventricular tachycardia and suddenly he became unstable. What is the next line of management?
1. Intravenous ibutilide
2. DC Cardioversion
3. Intravenous Diltiazem
4. Intravenous Flecainide

Correct answer: 2. DC Cardioversion

Explanation: Here in the question vital are unstable. So the best therapy will be DC cardioversion. Treatment for Supra Ventricular tachycardia: Amiodarone forstablepatients DC Cardioversion forunstablepatients.